False about antigen drift -
1. Causes pandemic
2. Occurs due to mutation
3. Occurs more frequently
4. Affected by previous antibodies

Correct answer: 1. Causes pandemic

Explanation: Repeated question please